The most common congenital cardiac lesion identified at birth is
1. ASD
2. VSD
3. PDA
4. Coarctation of Aorta

Correct answer: 2. VSD

Explanation: Ventricular Septal Defect (VSD) This is the most common congenital cardiac lesion identified at birth accounting for one-quarter of all CHD. VSD is a communication between the two ventricles. 90% are located in the membranous part of the ventricular septum with variable extension into the muscular septum. Others are located in the muscular septum and can be multiple. Reference: Essential Paediatrics; O.P. Ghai; Page no: 414